Diuretic which causes maximum amount of the kaliuresis for the same amount of natriuresis is
1. Loop diuretics
2. Thiazides
3. Acetazolamide
4. Triamterene

Correct answer: 3. Acetazolamide

Explanation: Ans. is 'c' i.e., Acetazolamide Remember* Most marked Kaliuresis (K+ excretion) is caused by: Acetazolamide* Most marked Natriuresis (Na+ excretion) is caused by: Furosemide* Most marked Chloride excretion is caused by: Ethacrynic acid* Only diuretic which inhibits choride excretion is that is why it causes metabolic acidosis.: Acetazolamide (Pretest)* Diuretics which do not promote bicarbonate excretion: Ethacrynic acid: Thiazide like diuretics e.g. indapamide, metazoline, chlorthalidone.* Diuretics which maximally promotes uric acid excretion: Acetazolamide (by alkalanizing urine)